What is true about Bordetella pertussis
1. Adheres to normal mucosa
2. Destroys cilia
3. Local tissue destruction
4. All of the above

Correct answer: 4. All of the above

Explanation: Ans. is 'd' i.e., All of the above